Elimination after 4 half-lives in first order kinetics is:
1. 84%
2. 93%
3. 80.50%
4. 4.75%

Correct answer: 2. 93%

Explanation: Ans. B.93%Drugs elimination after different half-life:Half-lifeEliminationFirst50%Second75%(50+25)Third87.5%(50+25+12.5)Fourth93.75%(50+25+12.5+6.25)